Concept of multipurpose workers was given by -
1. Mudaliar committee
2. Srivastava committee
3. Kartar Singh Committee
4. Mukherjee committee

Correct answer: 3. Kartar Singh Committee

Explanation: - Kartar Singh Committee was established in 1973. - it is also called as the committee on multipurpose workers under health and family planning. - the recommendation of the committee includes feasibility of having multipurpose workers in the field and training requirements of such workers. Reference : Park's textbook of preventive and social medicine, 23rd edition, pg no:874